10 yr old male patient came to OPD with itching and cobblestone papillae on examination. The symptoms aggravate in the summer. What is probable diagnosis
1. Phlyctenular conjunctivitis
2. Trachoma
3. Atopic conjunctivitis
4. Vernal Keratoconjunctivitis

Correct answer: 4. Vernal Keratoconjunctivitis

Explanation: Vernal keratoconjunctivitis Young boys in 1st decade of life severe itching present cobble stone papillae seen: hallmark. It is a papillary hypertrophy not follicular. VKC is type 1 hypersensitivity. Phlyctenular type 4. Signs: Shield ulcer Maxwell lyon sign Horner trantas spots Pseudogerontoxon A/w keratoconus is seen Rx Steroids-Fluorometholone & loteprednol topical. Antibiotics does not have any prominent role. DOC- Olopatadine, Sodium Cromoglycate, Ketotifen and Epinastine. Refractony -Cyclosporine,Tacrolimus & acetyl cysteine 0.5%. Horner Tranta spots Cobblestone pappila Others options: TRACHOMA: commonest infective cause of blindness. hallmark : sago grain follicles. herbet pits seen.